A patient presented with multiple nodulocystic lesions on the face. The drug of choice is -
1. Retinoids
2. Antibiotics
3. Steroids
4. U V light

Correct answer: 1. Retinoids